All are constituents of soda lime except
1. Ca(OH)2
2. Ba(OH)2
3. Silica
4. Moisture

Correct answer: 2. Ba(OH)2

Explanation: B i.e. Ba(OH)2